Donovan bodies are associated with-
1. Gonorrhoea
2. Herpes genitalia
3. Chlamydia trachomatis infection
4. Granuloma inguinale

Correct answer: 4. Granuloma inguinale

Explanation: GRANULOMA INGUINALEGranuloma inguinale is a sexually transmitted disease affecting the genitalia and inguinal and perianal regions caused by Calymmatobacterium donovani. The disease is common in tropical and subtropical countries such as New Guinea, Australia, and India. The organism inhabits the intestinal tract. The infection is transmitted through vaginal or anal intercourse and by autoinoculation. Initially, the lesion is in the form of a papule, a subcutaneous nodule or an ulcer. Within a few weeks, it develops into a raised, soft, painless, reddish ulcer with exuberant granulation tissue. Depending upon whether the individual is heterosexual or homosexual, the lesions are located on the penis, scrotum, genito-crural folds and inguinal folds, or in the perianal and anal area respectively.Regional lymphadenopathy generally does not occur.Microscopically, the margin of the ulcer shows epithelial hyperplasia. The ulcer bed shows neutrophilic abscesses.The dermis and subcutaneous tissues are infiltrated by numerous histiocytes containing many bacteria called Donovan bodies, and lymphocytes, plasma cells, and neutrophils. These organisms are best demonstrated by silver impregnation techniques. HARSH MOHAN Textbook of pathology 6th edition pg no 179